Which of the following is specifically associated with infection with Schistosoma haematobium?
1. Adenocarcinoma of the bladder
2. Adenocarcinoma of the renal pelvis
3. Squamous cell carcinoma of the bladder
4. Transitional cell carcinoma of the bladder

Correct answer: 3. Squamous cell carcinoma of the bladder

Explanation: Carcinomas of the bladder and renal pelvis are usually transitional cell carcinomas. However, Schistosoma haematobium infection (where Schistosomes lay eggs in the veins near the bladder, thereby inducing a marked inflammatory response) is associated with squamous metaplasia and squamous cell carcinoma of the bladder. Some authors have suggested that medications used to kill the worms may contribute to the etiology. Adenocarcinomas of the renal pelvis and bladder are rare. Ref: Brooks G.F. (2013). Chapter 46. Medical Parasitology. In G.F. Brooks (Ed),Jawetz, Melnick, & Adelberg's Medical Microbiology, 26e.